A patient presents with Abdominal pain, Jaundice and malena. The Diagnosis is -
1. Hemobilia
2. Acute cholangitis
3. Carcinoma gall bladder
4. Acute pancreatitis

Correct answer: 1. Hemobilia